Hot nodule in liver scan is due to(NOT RELAVENT TO PHARMACOLOGY)
1. Hepatic adenoma
2. Focal nodular hyperplasia
3. Metastasis
4. HCC

Correct answer: 2. Focal nodular hyperplasia

Explanation: 50% of the focal nodular hyperplasia shows presence of Kupfer cells (phagocytes). So uptake of sulphur colloid is noted in these lesions. No uptake is seen in HCC, hepatic adenoma and metastases